White infarcts are seen in the following except:
1. Liver
2. Kidney
3. Spleen
4. Heart

Correct answer: 1. Liver